Motor neuron of spinal cord is?
1. Unipolar cell
2. Bipolar cell
3. Pseudo-unipolar cells
4. Multi-polar cells

Correct answer: 4. Multi-polar cells

Explanation: Ans. D Multipolar cellsRef: Ganong, 25th ed. pg. 87Unipolar cellsInvertebrate cellsBipolar cellsBipolar cells of retinaPseudo-unipolar cellsGanglion cell of dorsal rootMulti-polar cellsMotor neuron of spinal cord Pyramidal cell of hippocampus Purkinje cell of cerebellum